Pseudomyxoma peritonii is seen in which ovarian cancer?
1. Serous cystadenocarcinoma
2. Mucinous cystadenocarcinoma
3. Brenner Tumor
4. Fibroma

Correct answer: 2. Mucinous cystadenocarcinoma

Explanation: Ans. is 'b' i.e., Mucinous cystadenocarcinoma o Mucinous tumors are multiloculated cysts lined by epithelium resembling the endocervix.o The cut section reveals loculi filled with mucinous contents.o If the tumor ruptures, it may lead to formation of pseudomyxoma peritonei and the viscera showing extensive adhesions.o Bilateral tumors are often metastatic from the gastrointestinal tract, mainly mucocele of appendix or primary adenocarcinoma of appendix.o Appendicectomy at the time of primary surgery prevents pseudomyxoma peritonei, as often mucocele of the appendix is known to cause this complication.